The Psycho Social stages/ Eight-stage ego development across the life cycle is the centre piece of whose life work?
1. Sigmund freud
2. Pavel
3. Strauss
4. Erik H Erikson

Correct answer: 4. Erik H Erikson

Explanation: The eight stages of ego development are Stage1- trust vs mistrust Stage2- autonomy vs shame and doubt Stage3- initiative vs guilt Stage4- industry vs inferiority Stage5- identity vs role confusion Stage6- intimacy vs isolation Stage7- generativity vs stagnation Stage8- intgrity vs despair. Ref: Synopsis of Psychiatry, 11e, pg 169.